The dorsal part of the ventral mesogastrium forms
1. A) Greater omentum
2. B) Lesser omentum
3. C) Faliciform ligament
4. D) Lineorenal ligament

Correct answer: 2. B) Lesser omentum

Explanation: The lesser omentum is formed by two layers of peritoneum separated by a variable amount of connective tissue and fat. It is derived from the ventral mesogastrium. Ref:- Gray's anatomy, pg num:- 1101